Which of the following is most common cause of hypotension in fracture ribs (T10-T12)
1. Abdominal solid visceral organ injury
2. Injury to aorta
3. Inter costal artery damage
4. Pulmonary contusion

Correct answer: 1. Abdominal solid visceral organ injury